Glutathione peroxidase contains
1. Cu
2. Se
3. Fe
4. Hg

Correct answer: 2. Se

Explanation: Glutathione peroxidase is an important enzyme in cellular antioxidant defense systems, detoxifying peroxides, and hydroperoxides. As a component of the glutathione cycle, it protects the liver from reactive oxygen metabolites. Selenocysteine is present at the catalytic site of glutathione peroxidase, and selenium availability regulates glutathione peroxidase enzyme activity.